The rate limiting step in glycolysis is catalyzed by-
1. Pyruvate kinase
2. Enolase
3. Glucokinase
4. Phosphofructokinase

Correct answer: 4. Phosphofructokinase

Explanation: Ans. is 'd >a & c' i.e., Phosphofructokinase > Pyruvate kinase & Giucokinase o Phosphofructokinase, giucokinase and pyruvate kinase are rate limiting enzymes of glycolysis. However,phosphofructokinase is the most important one."The irreversible phosphorylation reaction catalyzed by phosphofructokinase - l (PFK-1) is the most important control point and the rate limiting and commited step of glycolysis ". --Lippincott's"Phosphofructokinase - I is the regulatory enzyme of glycolysis -- Pankaj Naik"Most important control point for glycolysis is through regulation of phosphofructokinase". -- Dinesh puriImportant facts about glycolysiso An important biochemical significance is the ability of glycolysis to provide ATP in the absence of oxygen (anerobic glycolysis) and allows tissues to survive anoxic episodes,o It occurs in cytosol0o 3 Carbon atoms end product (pyruvate or lactate) is producedQ.o Irreversible steps are catalyzed by : - Glucokinase'Hexokinase, phosphofructokinase-I, and pyruvate kinase,o Reversible steps are catalyzed byQ : - Phosphohexose isomerase, aldolase, phosphotriose isomerase, glyceraldehyde 3-phosphate dehydrogenaseQ, Phosphoglycerate kinase, Phosphoglycerate mutaseQ, EnolaseQ.o Energy (ATP) using steps are catalyzee by : - Hexokinase/glucokinase, phosphofurctokinase.o Energy (ATP) production at substrate level are catalyzed by : Phosphoglycerate kinase. Pyruvate kinase,o Reducing equivalent (NADH) production is catalyzed by : Glyceraldehyde 3-phosphate dehydrogenase,o Cancer ceils derive nutrition from glycolysisQ as they have lack of O2 supply because of lack of capillary network. Glycolysis (anaerobic glycolysis) is the only metabolic pathway in the body which can provide energy by glucose metabolism in anerobic conditions.